Chalazion of lid is-
1. Caseous necrosis
2. Chronic nonspecific inflammation
3. Chronic lipogranulomatous inflammation
4. Liposarcoma

Correct answer: 3. Chronic lipogranulomatous inflammation

Explanation: *Chalazion is chronic non-infective lipogranulomatous inflammation of meibomian gland. Ref: Yanoff & Duker Ophthalmology 2nd/e p.708